In Gaucher's diseases, there is deficiency of
1. Glucocerebrosidase
2. Glucokinase
3. Sphingomyelinase
4. G-6PD

Correct answer: 1. Glucocerebrosidase

Explanation: Glucocerebrosidase

Gaucher's disease is due to deficiency of 13-glucosidase (glucocerebrosidase).